Blow out fracture can be due to:
1. Tennis ball injury
2. Chisel and hammer injury
3. Sudden fall
4. Punch at the chin from below

Correct answer: 1. Tennis ball injury

Explanation: Blow out orbital fracture result from trauma to orbit by a relatively large often rounded object such as tennis ball, cricket ball, human fist, or a part of automobile.The force of blow causes a backward displacement of the eyeball and increase in the intraorbital pressure. CLASSIFICATION 1 PURE BLOW OUT FRACTURE - NOT associated with involvement of the orbital rim 2 Impure blow out - associated with other fractures about the middle third of facial skeleton - Inferior wall M/C involved - Entrapment of inferior rectus in inferior wall - not able to look up- Hanging drop or tear drop sign Features (1) Enophthalmos (2 ) Diplopia(3) Infra orbital nerve anesthesia